Meckel's diverticulum is a remnant of ?
1. Stenson's duct
2. Wolffian duct
3. Mullerian duct
4. Vitellointestinal duct

Correct answer: 4. Vitellointestinal duct

Explanation: Ans. is 'd' i.e., Vitellointestinal duct Meckel's diverticulum Meckel's diverticulum is the persistent proximal part of the vitellointestinal duct which normally disappears during intrauterine life. It follows 'rule of 2' :- present in 2% subjects, 2 inches (5 cm) long and is situated 2 feet (60 cm) proximal to ileocoecal valve. It is attached to antimesenteric border of ileum. Its calibre is equal to that of the ileum. Its apex may be free or attached to umblicus or mesentery by a fibrous band. o Vitellointestinal duct posseses all three coats of intestinal wall.